Syndrome of inappropriate ADH secretion is characterized by of the following EXCEPT:-
1. Hypo-osmolar urine
2. Water intoxication
3. Expanded fluid volume
4. Hyponatremia

Correct answer: 1. Hypo-osmolar urine

Explanation: A- SIADH - ||ADH - act at V2receptor of kidney | B- water intoxication - | water reabsorption | | C- Expanded fluid volume So, urine becomes Hyperosmolar | D- Dilutional Hyponatremia Hypo -osmolar urine present in DI